Leucine-Zipper complex is
1. DNA binding protein
2. Membrane attack complex
3. B cell epitomes
4. Receptor ligand protein

Correct answer: 1. DNA binding protein